Which one of the following is not a cause for restrictive cardiomyopathy
1. Alcohol
2. Hemochromatosis
3. Amyloidosis
4. Sarcoidosis

Correct answer: 1. Alcohol

Explanation: Restrictive cardiomyopathy is characterized by a primary decrease in ventricular compliance, resulting in impaired ventricular filling during diastole (simply put, the wall is stiffer). Restrictive cardiomyopathy can be idiopathic or associated with systemic diseases that also happen to affect the myocardium, for example radiation fibrosis, amyloidosis, sarcoidosis, or products of inborn errors of metabolism. (Robbins basic pathology,9th edition.pg no.401)